Pugilistic attitude is due to:
1. Lipolysis
2. Protein coagulation
3. Carbohydrate coagulation
4. Lipogenesis

Correct answer: 2. Protein coagulation

Explanation: Ans. Protein coagulation